Odynophagia occurs ina) Achalasiab) Herpes esophagitisc) Monilial esophagitisd) Barret's oesophagus
1. a
2. c
3. ac
4. bc

Correct answer: 4. bc

Explanation: Odynophagia means painful swallowing seen in inflammatory lesions of food passage (i.e. oral cavity pharynx & esophagus)
Harrison 16/e writes -

“If odynophagia is present, candidial or herpes esophagitis or pill induced esophagitis should be suspected".

Candidial esophagitis is also known as Monilial esophagitis.